Membranous urethral rupture causes collection of blood in
1. Ischiorectal fossa
2. Deep perineal pouch
3. Superficial inguinal region
4. Pelvic diaphragm

Correct answer: 2. Deep perineal pouch